Pathogenesis of all of the following is granulomatous inflammation, except:
1. Wegener's granulomatosis
2. Churg-Strauss syndrome
3. Takayasu's arteritis
4. Microscopic polyangitis

Correct answer: 4. Microscopic polyangitis

Explanation: Microscopic polyangitis is characterized by segmental fibrinoid necrosis of the media with focal transmural necrotizing lesions; granulomatous inflammation is absent.